In fracture of femur by which part popliteal artery is commonly damaged by-
1. Proximal fragment
2. Distal fragment
3. Muscle haematoma
4. Tissue swelling

Correct answer: 2. Distal fragment

Explanation: *In distal third shaft fracture or supracondylar femur fracture, the distal fragment is tilted backward due to strong gastrocnemius pull. This posteriorly tilted distal fragment can cause popliteal artery injury. Ref: Apley's 9th/e p. 865